Most common cause of acute RVF aEUR'
1. Massive pulmonary embolism
2. Tricuspid stenosis
3. Pulmonary stenosis
4. Tricuspid regurgitation

Correct answer: 1. Massive pulmonary embolism

Explanation: Massive pulmonary embolism Acute right ventricular failure is usually caused by acute cor pulmonales. Most common cause of acute cor pulmonale is pulmonary embolism. M.C. cause of chronic cor pulmonale is pulmonary embolism Causes of acute right heart failure Pulmonary embolism (M.C.) Acute respiratory failure (especially in broncho pulmonary disease with hypoxic / hypercapnic pulmonary vasoconstrictions. ARDS Sepsis Acutely exacerbated chronic (left / biventricular) heart failure Acute inferior myocardial infarction involving the R.V.